Aplastic anemia can progress to all except
1. AML
2. Myelodysplastic anemia
3. Pure red cell aplasia
4. Paroxysmal nocturnal hemoglobinuria

Correct answer: 3. Pure red cell aplasia

Explanation: Pure red cell aplasia (PRCA) is a form of BMF characterized by severe anaemia with reticulocytopenia and reduced erythroid progenitors in the bone marrow. PRCA most commonly is an acquired disorder and immune mediated, and often occurs in association with a wide range of conditions.hence it is totally unrelated to aplastic anemia. emedicine.medscape.com